All are recognized causes of adult respiratory disress syndrome except:
1. Smoke inhalation
2. Malignant hypertension
3. Gastric aspiration
4. Viral pnemonia

Correct answer: 2. Malignant hypertension

Explanation: ARDS is associated with non cardiogenic pulmoanary edema.Malignant hypertension will cause development of cardiogenic pulmonary edema. The four most important causes of ARDS: Sepsis,diffuse pulmonary infections,gastric aspiration and head injuries.